Obstruction in pulmonary stenosis may occur at the following sites:
1. Supravalvular
2. Valvular
3. Subvalvular
4. All of the above

Correct answer: 4. All of the above

Explanation: d. All of the above(Ref: Nelson's 20/e p 2211-2217, Ghai 8/e p 420-423)Pulmonary stenosis can occur due to obstruction at supravalvular, valvular or subvalvular level.